RNA primer is synthesized by -
1. Topoisomerase
2. Helicase
3. DNA primase
4. DNA ligase

Correct answer: 3. DNA primase

Explanation: Ans. is 'c' i.e., DNA primase ProteinFunctionDNA polymerasesDeoxynucleotide polymerizationHelicasesProcessive unwinding of DNATopoisomerasesRelieve torsional strain that results from helicase-induced unwindingDNA primaseInitiates synthesis of RNA primersSingle-strand binding proteinsPrevent premature reannealling of dsDNADNA ligaseSeals the single strand nick between the nascent chain and Okazaki fragments on lagging strand